Which tarsal bone articulates with the tibia and fibula?
1. calcaneus
2. cuboid
3. navicular
4. talus

Correct answer: 4. talus

Explanation: The talus is the bone that makes up the lower part of the ankle joint (the tibia and fibula bones of the lower leg make up the upper part of the ankle joint). The talus sits above the heel bone (calcaneus).